Thurston Holland sign is seen in -
1. Type I
2. Type II
3. Type III
4. Type IV

Correct answer: 2. Type II

Explanation: Thurston Holland Sign - type 2 (Salter & Harris - widely used classification for physeal injury) It is a transverse fracture through the hypertrophic or calcified zone of plate ,but towards the edge the fracture deviates away, from physis &split of triangular metaphyseal segment of bone i.e thurston Holland fragment. REF:Apley 9th edition,pg.no.728